Triple deformity of knee is classically seen in:
1. Fracture patella
2. Tuberculosis
3. Rheumatic arthritis
4. Ankylosing spondylitis

Correct answer: 2. Tuberculosis

Explanation: Triple deformity is seen in tuberculosis of knee consists of ( Mnemonic PErF ):- P- Posterior subluxation of tibia Er- External rotation of leg F- Flexion at knee